Cardiac index is defined as:
1. Stroke volume M2/BSA
2. C.O.P. per unit body surface area
3. Syst press/M2 BSA
4. End diastolic volume

Correct answer: 2. C.O.P. per unit body surface area

Explanation: B i.e. COP per unit body surface area